Computerized periodontal probe is
1. Florida probe
2. Perio temperature probe
3. Automated probe
4. DNA probe

Correct answer: 1. Florida probe